Poor prognostic factor for Schizophrenia-
1. Presence of depression
2. Female sex
3. Presence of stressor
4. Early onset

Correct answer: 4. Early onset

Explanation: Ans. is 'd' i.e., Early onset Poor prognostic factors :- Insidious onset, early onset (before 20 years of age); absence of precipitating stressor; poor premorbid adjustment; hebephrenic subtype (worst prognosis), simple, undifferentiated and chronic catatonic subtype; long duration (chronic course --> >2 years); single / divorced; Negative symptoms; absence of depression; family history of schizophrenia; past history of schizophrenia; asthenic (thin) physique; male sex; poor treatment compliance & poor response to treatment; poor social support; flat or blunted affect; ventricular enlargement on brain CT scan; hospitalization & indoor treatment